Persistant the cultures in a root canal is mostly due to
1. Seepage of saliva
2. Excessive instrumentation
3. Less medicament
4. Via apical foramina

Correct answer: 1. Seepage of saliva